Schizophrenia is characterized by A/E -
1. Delusion
2. Auditory hallucination
3. Elation
4. Catatonia

Correct answer: 3. Elation